Cholera toxin effects are mediated by stimulation of which of the following second messengers -
1. cAMP
2. cGMP
3. Ca++ - Calmodulin
4. IP3 / DAG

Correct answer: 1. cAMP